Patient's case histories are Orofacial oedema, facial palsy, and fissured tongue. What will be your diagnosis?
1. Melkersson-rosenthal syndrome
2. Ramsay hunt syndrome
3. Guillain-barre syndrome
4. Lyme disease

Correct answer: 1. Melkersson-rosenthal syndrome

Explanation: Ans. a. Melkersson-rosenthal syndromeMELKERSSON-ROSENTHAL SYNDROMEIt a rare disorder, etiological agent is unknown.Sign and Symptoms: Recurrent facial paralysis, recurrent-and eventually permanent facial (particularly labial) edema, and less constantly, plication of the tongue.RAMSAY HUNT SYNDROMEIt is caused by reactivation of herpes zoster in geniculate ganglion.Most commonly 8th CN is affected.Sign and Symptoms: Facial palsy associated with vesicular eruption in the auditory canal and sometimes in the pharynx and other parts of the cranial integument.GUILLAIN-BARRE syndromeIt can cause bilateral Facial palsy.LYME DISEASEIt can cause unilateral or bilateral facial palsies.In endemic area more cases of facial palsy are occurs due to infection of Borrelia burgdorferi.